Most universally accepted indicator of health status of whole population and their socioeconomic conditions among the following is:-
1. MMR
2. IMR
3. Life expectancy
4. Disease notification rates

Correct answer: 2. IMR

Explanation: Infant mortality rate: Is one of the most universally accepted indicator of health status. IMR is a sensitive indicator of availability, utilization and effectiveness of health care, particularly perinatal care. MCC of Infant mortality in India are low birth weight & prematurity.